All of the following are examples of tubulointerstitial disorder of the kidney except -
1. Hypercalcemic nephropathy
2. Lupus nephritis
3. Gouty mephropathy
4. Hypokalemic nephropathy

Correct answer: 2. Lupus nephritis